Amount of water that constitutes soda lime in carbon dioxide absorber is
1. 20-24%
2. 14-19%
3. 10-14%
4. 25-30%

Correct answer: 2. 14-19%

Explanation: Water constitute 14-19% in soda lime.